The duration of spinal anaesthesia depends on all of the following EXCEPT :
1. Local anaesthetic that is used
2. Concentration of the local anesthetic used
3. Posture of the patient
4. Whether adrenaline has been added to the local anaesthetic

Correct answer: 3. Posture of the patient